Characteristic feature of early congenital syphilis is
1. Microcephaly
2. Saddle nose
3. Interstitial keratitis with sabre skin
4. Vesicular rash with bulla over palms and soles

Correct answer: 4. Vesicular rash with bulla over palms and soles